All of the following are good prognostic factors for acute lymphoblastic leukemia except
1. Age of onset between 2-8 years
2. Hyperdiploidy, trisomy of chromosomes 4, 7 and 10 and + (12;21)
3. Intial WBC count less than 50000
4. + (9;22), + (8;14)

Correct answer: 4. + (9;22), + (8;14)

Explanation: Favorable Prognostic markers
Unfevorable prognosis markers




Age between 2 and 10 years




Below 2 years and above 10 years






Low white cell count




High (more than 50,000 cells / cumm)






Hyperdiploidy




Hyoploidy






Trisomy of chromosome 4, 7 and 10 and + (12;21)




+ (9;22) (the philadelphia chromosome)